Drug of choice for the treatment of negative symptoms of schizophrenia is -
1. Chlorpromazine
2. Haloperidol
3. Clozapine
4. Doxepin

Correct answer: 3. Clozapine

Explanation: Ans. is 'c' i.e., Clozapine o Drugs for negative symptoms Clozapine Olanzapine Risperidone Aripiprazole Ziprazidone